Patients with bilateral CDH walk with the following git
1. Waddling
2. Stubling
3. Knock knee
4. Antalgic

Correct answer: 1. Waddling

Explanation: Waddling gaitIt is also called as duck walk gaitIt is a wide base gait with increased lumbar lordosis, the patient sways to the same side after putting weight on the limb it is seen commonly in pregnancy, bilateral CDH, osteomalacia, and myopathies(Refer: Mohindra's Fundamentals of Orthopedics, 2nd edition, pg no. 120)